Elements of bishop's score is ail except -
1. Cervical dilatation
2. Cervical effacemat
3. Endometrial consistency
4. Fetal station

Correct answer: 3. Endometrial consistency

Explanation: Ans. is 'c' i.e., Endometrial consistencyo Bishop score, also Bishop's score, also known as cervix score is a pre-labor scoring system to assist in predicting whether induction of labor will be required.o The total score is achieved by assessing the following five components on vaeinal examination:y Cervical dilationy Cervical effacementy Cervical consistencyy Cervical positiony Fetal stationo If the Bishop score is 8 or greater the chances of having a vaginal delivery are good and the cervix is said to be favorable or "ripe" for induction.o If the Bishop score is 6 or less the chances of having a vaginal delivery are low and the cervix is said to be unfavorable or "unripe" for induction